Ethylene glycol when ingested affects kidney by forming -
1. Formaldehyde
2. Oxalates
3. Isoproylalcohol
4. Phosphates

Correct answer: 2. Oxalates

Explanation: Mode of ActionEthylene glycol is not absorbed through skin, and because of its low vapour pressure does not produce toxicity upon inhalation. It is however rapidly absorbed through the GI tract and is metabolised (more than 80%) to glycoaldehyde, glycolic acid, and oxalic acid which inhibit diverse metabolic pathways in the body, including oxidative phosphorylation. Ref: K.S.Narayan Reddy's Synopsis of Forensic Medicine and Toxicology, 29th edition, Chapter 29, page-323.